Concurrent administration of tetracyclines is most likely to impair the action of
1. Lincomycin
2. Chloramphenicol
3. Erythromycin
4. Penicillin

Correct answer: 4. Penicillin